Tt for CTEV should start from
1. Immediately after birth
2. After 3 month
3. After 6 month
4. After 24 hrs

Correct answer: 1. Immediately after birth

Explanation: Ans. is 'a' ie immediately after birth